Immunization is -
1. Primary prevention
2. Secondary prevention
3. Tertiary prevention
4. Disability limitation

Correct answer: 1. Primary prevention

Explanation: Ans. is 'a' i.e., Primary prevention Immunization is a specific protection type of primary prevention